Wood lamp wavelength -
1. 360-385
2. 280-320
3. 400450
4. 450-500

Correct answer: 1. 360-385

Explanation: Ans is 'a' i.e., 360-385 Wood lampo This is a source of ultraviolet light (320-400nm) from which virtually all visible rays have been excluded by a Wood's (nickel oxide) filter,o Primarily emits 360nm.o UV light, when absorbed by certain substances, fluorescences in dark and color produced, is useful in the diagnosis of the certain conditions.ConditionFluorescence colorTinea capitisBright yellow-greenErythrasmaCoral red or pinkVitiligoMilky whiteAlbinismBlue whiteLeprosyBlue whiteTuberous sclerosisBlue whitePseudomonas infectionGreenish whitePorphyriaPm k/o rangeTinea VersicolorGolden yellow-